True about mitochondria' DNA:
1. Maternal inheritance
2. Mitochondrial disease is associated mostly with Mutation & some have deletion
3. Not highly conserved & has high mutation rate
4. All

Correct answer: 4. All

Explanation: A i.e. Maternal inheritance; B i.e. Mitochondrial disease is associated mostly with Mutation & some have deletion; C i.e. Not highly conserved & has high mutation rate;